Impotence is a feature of which of the following :
1. Multiple sclerosis
2. Poliomyelitis
3. Amyotropic lateral sclerosis
4. Meningitis

Correct answer: 1. Multiple sclerosis

Explanation: Answer is A (Multiple sclerosis): Multiple sclerosis is associated with erectile dy.slitnction or impotence. Neurological disorders associated with Erectile dysfunction include: Spinal cord injury Multiple sclerosis Peripheral neuropathy